Which pathway describes the synthesis of metabolically active vitamin D:
1. Liver - skin - kidney
2. Gut - kidney - liver
3. Kidney - liver - skin
4. Skin - liver - kidney

Correct answer: 4. Skin - liver - kidney

Explanation: Ans. D i.e. Skin - liver - kidney